All of the following are incoming tributaries of cavernous sinus except
1. Superior ophthalmic vein
2. Superficial middle cerebral vein
3. Superior petrosal vein
4. Inferior cerebral vein

Correct answer: 3. Superior petrosal vein

Explanation: Superior petrosal vein is outgoing channel of cavernous sinus.